A patient gets tingling when his bed light is flashed suddenly. Which type of hallucination is this :
1. Hypnagogic hallucinations
2. Hypnopompic hallucinations
3. Reflex hallucinations
4. Functional hallucinations

Correct answer: 3. Reflex hallucinations

Explanation: "Example of reflex hallucination : when the light flashes the patient gets tingling sensation".